If there is bleeding from the wound after a dog bit, the treatment includes ?
1. Only wound cleansing
2. Only antirabies vaccine
3. Antirabies vaccine and wound cleansing
4. Wound cleansing, antirabies vaccine and rabies immunoglobulin

Correct answer: 4. Wound cleansing, antirabies vaccine and rabies immunoglobulin

Explanation: Ans. is 'd' i.e., Wound cleansing, antirabies vaccine and rabies immunoglobulin